Normal adult GFR is
1. 100- 120 ml/min, 173 m sq//cm2
2. 120- 130 ml/min, 173 m sq//cm2
3. 130- 140 ml/min, 173 m sq//'cm2
4. 140 - 150 ml/min, 173 m sq//cm2

Correct answer: 2. 120- 130 ml/min, 173 m sq//cm2

Explanation: (120-130 ml/min, 1.73 msq/cm2) (706-GN) (646- Ganong 23rd)* The GFR in an average-sized normal man is approximately 125 mL/min. Its magnitude correlates fairly well with surface area, but values in woman are 10% lower than those in men even after correction for surface area.Factors that can decrease the GFR (288-Gyton 10th)Physiologic/ Pathophysiologic causes* Renal disease, DM, hypertension* Urinary tract obstruction (eg. Kidney stones)* | Renal blood flow, increased plasma proteins* | Arterial pressure (has only small effect due to autoregulation)* | Angiotensin II (drugs that block angiotensin II formation)* | Sympathetic activity, vasoconstriction hormones (eg. Norepinephrine, endothelin)